Granuloma is seen in all except -
1. Giant cell arteritis
2. Microscopic polyangitis
3. Wegner's granulomatosis
4. Churg-strauss disease

Correct answer: 2. Microscopic polyangitis

Explanation: Ans. is 'b' i.e., Microscopic polyangitisIn microscopic polyangitis, granuloma are absent.o There are two types of inflammation in the wall of vessels in systemic vasculitis ?I. Granulomatous inflammation --> characterized by formation of granuloma in vessel wall.2. Necrotizing inflammation characterized by fibrinoid necrosis in the vessel wall.Vasculitis with granulomatous inflammation o Giant cell arteritiso Takayasu's diseaseo Wegner's granulomatosiso Churg strauss syndromeVasculitis with necrotizing inflammationPolyarteritis nodosaChurg strauss syndromeWegner's granulomatosisMicroscopic polyangitisNote - Wegner's granulomatosis and churg strauss syndrome have feature of both granulomatous inflammation (predominant) and necrotizing inflammation.